All of the following are true about Idiopathic Pulmonary Hemosiderosis Except:
1. Hypoxemia
2. Alveolar capillary constriction
3. Hyperplasia of type II Pneumocytes
4. Hemosiderin laden macrophages

Correct answer: 2. Alveolar capillary constriction

Explanation: Answer is B (Alveolar capillary constriction): Idiopathic Pulmonary Hemosiderosis is associated with alveolar capillary dilatation and not alveolar capillary constriction. Pathological Features of Idiopathic Pulmonary Hemosiderosis Bland Alveolar hemorrhage (without capillaritis or inflammation of blood vessels) Hyperplasia of type H pneumocytes Alveolar capillary dilatation and tortuosity Hemosiderin laden macrophages in alveolar spaces of interstitium